Incidence rate can be calculated from:
1. Cohort study
2. Case control study
3. Cross sectional study
4. Descriptive study

Correct answer: 1. Cohort study

Explanation: Only Cohort study follows patient for a definite time period. It proceeds from cause to effect. So incidence can be calculated. Besides relative risk as well as attributable risk are also derived from cohort study. While case control study study yields only estimate of relative risk. Cross sectional study yields prevalence rate. Ref: Park 21st edition, page 71.